True about scoline are following except:
1. Fasciculations
2. ICT increases
3. Non depolarising neuro muscular blocker
4. Short acting muscle relaxant

Correct answer: 3. Non depolarising neuro muscular blocker

Explanation: C i.e. Nondepolarizing neuromuscular blocker